Protein connecting Z-lines to M-lines
1. Kinin
2. Desmin
3. Titin
4. Actin

Correct answer: 3. Titin

Explanation: The giant protein titin is thought to play major roles in the assembly and function of muscle sarcomeres. Structural details, such as widths of Z- and M-lines and periodicities in the thick filaments, correlate with the substructure in the respective regions of the titin molecule. Sarcomere rest length, its operating range of lengths, and passive elastic properties are also directly controlled by the properties of titin.(Ref: